A 5–year old child presents with perivascular IgA deposition and neutrophil collection. There is erythematous rash on the lower limb and non-blanching purpura. Probable diagnosis is –
1. Henoch–Schonlein purpura
2. Wegener's granulomatosis
3. Vasculitis
4. Kawasaki's disease

Correct answer: 1. Henoch–Schonlein purpura